Not a complication of prolapsed uterus :
1. Ca cervix
2. Elongation of cervix
3. Cystocele
4. Decubitus ulcer

Correct answer: 1. Ca cervix

Explanation: Ans. is a i.e. Ca cervix Complications of prolapse uterus 1. Vaginal mucosa : thickened, keratinized and pigmented 2. Cervix : Vaginal part : becomes bulky and congested with purulent discharge due to infection or blood stained due to ulceration Supra vaginal part : elongation occurs 3. Urinary symptom : Bladder : incomplete emptying leading to hypertrophy of wall trabeculation and cystitis Hydronephrotic changes, pyelitis and pyelonephritis 4. Decubitus ulcer : is a trophic ulcer caused by venous congestion and circulatory changes found in the dependent part of the prolapsed mass. 5. Incarceration : irreducible prolapsed mass due to edema and congestion. 6. Peritonitis "it is a remarkable fact that irrespective of chronic irreetation and ulceration, cancer of the cervix or vagina is rarely seen in in treated cases of prolapse."